Child with frog like position and resistance to move the limbs, is probably suffering from:
1. Scurvy
2. Rickets
3. Trauma
4. Congenital Dislocation

Correct answer: 1. Scurvy

Explanation: It is seen in pseudoparalysis, caused by painful subperiosteal hemorrhage in Scurvy. Rickets- bow legs, wind swept deformity No h/o trauma